Treatment of paracetamol poisoning
1. N-acetyl cysteine
2. Activated charcoal
3. Dialysis
4. Alkaline diuresis

Correct answer: 1. N-acetyl cysteine

Explanation: AntidotePoisonAcetylcysteine ParacetamolAmyl nitrite CyanideAtropineOrganophosphateDesferrioxamineIronethanolMethanolFlumazenilBenzodiazepinesGlucoseInsulinREF:THE SYNOPSIS OF FORENSIC MEDICINE AND TOXICOLOGY: K S NARAYANA REDDY; PAGE NO 367